Methicillin resistant staphylococcus aureus is not expected to respond to:
1. Aminoglycoside
2. Lincosamide
3. Oxazolidinone
4. Carbapenem

Correct answer: 4. Carbapenem

Explanation: CARBAPENEMS: lmipenem It is an extremely potent and broad-spectrum Beta-lactam antibiotic whose range of activity includes grampositive cocci, Enterobacteriaceae, Ps. aeruginosa, Listeria as well as anaerobes like Bact. fragilis and Cl. difficile. It is resistant to most Beta-lactamases; inhibits penicillinase producing staphylococci .Though some MRSA are inhibited ,it is not reliable for treating such infections. ESSENTIALS OF MEDICAL PHARMACOLOGY K.D.TRIPATHI SIXTH EDITION PAGE NO:731